Highest energy is obtained from:
1. Human milk
2. Buffalo milk
3. Goat milk
4. Cow milk

Correct answer: 2. Buffalo milk

Explanation: Ans: b (Buffalo milk) Ref: Park,19th ed, p. 499Nutritive value of milks compared (Value per 100 gm) BuffaloCowGoatHumanFat (gm)6.54.14.53.4protein(gm)4.33.23.31.1Lactose (gm)5.14.44.67.4Minerals (gm)0.80.80.80.1water(gm)818786.888Calcium (mg)21012017028Iron (mg)0.20.20.3-Energy (Kcal)117677265It is evident from this Table that buffalo milk contains highest amount of fat and highest calories.* Human milk contains higher amount of lactose and water than animal milk.* Human milk proteins contain greater amount of tryptophan and sulphur containing amino acid, especially cysteine.* Human milk contains a higher percentage of linoeic acid and oleic acid than animal milk.